A 40-year-old patient is suffering from carotid body tumor. Which of the following is the best treatment for him?
1. Excision of tumor
2. Radiotherapy
3. Chemotherapy
4. Carotid artery ligation both proximal and distal to the tumor

Correct answer: 1. Excision of tumor

Explanation: Best treatment for a 40-year-old patient who is suffering from carotid body tumor is excision of tumor. CAROTID BODY TUMOR TREATMENT Because these tumors rarely metastasizeQand their overall rate of growth is slow, the need for surgical removal must be considered carefully as complication of surgery are potentially serious. Operation is best avoided in elderly patientsQ. Preoperative embolization is performed for tumors >3 cm. Tumors >5 cm are associated with a need for concurrent carotid artery replacement.